Coronoplasty should be carried out in patients with
1. Occlusal prematurities
2. Parafunctional habits
3. Signs of trauma from occlusion
4. All of the above

Correct answer: 3. Signs of trauma from occlusion